Tetracyclines are not useful for:
1. Trichomonas
2. Chlamydia
3. Syphilis
4. Rickettsia

Correct answer: 1. Trichomonas

Explanation: (a)chlamydial non specific urethritis(b)lymphogranulima venereum(c)atupical pneumonia(d)cholera(e)brucellosis(f)plague. (g)Relapsing fever*(h) Rickettsial infections: typhus, rocky mountain fever(i)syphilis ESSENTIALS OF MEDICAL PHARMACOLOGY page no.738